Lines of Blaschko's are related to ?
1. Keratinocytes
2. Blood vessels
3. Nerves
4. Bones

Correct answer: 1. Keratinocytes

Explanation: Ans. is 'a' i.e., Keratinocytes Blaschko's lines correspond to the pathways followed by keratinocytes migrating from neural crest during embryogenesis. The lines follow a V-shape over spine, an S-shape on abdomen, inverted U-shape from breast area to upper arm and perpendicular down the front and back of the lower extrimities. A number of inflammatory conditions can follow Blaschko's lines - Lichen striatus Linear lichen planus. Inflammatory linear verrucous epidermal naevus (ILVEN). Blaschko dermatitis (Blaschtitis). Incontinentia pigmenti. Goltz syndrome. Linear morphoea. Segmental vitiligo. Focal dermal hypoplasia. CHILD syndrome. Hypomelanosis of Ito. Linear cutaneous lupus erythematosus